A 45-year-old construction worker presented to the medical OPD with sudden acute low back pain radiating to the left leg with inability to lift the big toes. The best management would be
1. Immediate treatment includes analgesics, muscle relaxants and back strengthening exercises
2. The appearance of foot drop would be an early indication for surgical intervention
3. Conservative treatment for one week. If weakness in the big toes persists, lumbar laminectomy and excision of any herniated nucleus pulposus should be done
4. If the neurological signs but not the back pain resolve in 2-3 weeks, proper treatment would include fusion of IA and L5

Correct answer: 2. The appearance of foot drop would be an early indication for surgical intervention

Explanation: Ans. B. The appearance of foot drop would be an early indication for surgical interventionThe clinical symptoms and signs in the case described in this question point to compression of the 5th lumber nerve root, of all lumbar herniations, 95% occur at L4-5 or Ls,SI interspace.a. Strict bed rest on a firm mattress and use of analgesics, relaxants and focally applied heat constitute appropriate initial treatmentb. Because - back-strengthening exercise would aggravate acute symptoms, they should be started only after the pain has subsided.c. Surgical treatment should be reserved for those patients who have significant neurologic deficits, such as bladder or bowel dysfunctions or footdrop, and those with disabling episodes of pain failure to respond to initial conservative treatment also, can be an indication for surgeryd. Fusion of vertebral bodies - for treatment of residual back pain following laminectomy has not met with much success.